A patient has mandibular nerve neuralgia with herpes zoster infection within mandibular division of left trigeminal nerve. Patient has difficulty on protrusion and on protrusion mandible deviates to left side. Which muscle is most probably affected:
1. LP on left side
2. LP on right side
3. MP on left and LP on left
4. MP on right and LP on left

Correct answer: 1. LP on left side